In volume cycled ventilation the inspiratory' flow rate is set at:
1. 140-160 L/min
2. 110-130L/min
3. 60-100 L/min
4. 30-50L/mm

Correct answer: 3. 60-100 L/min

Explanation: In volume cycled ventilation the inspiratory flow rate is usually set at 60-100 U/min to allow greater expiration time for each breath. Use of high inspiratory flow rate can minimize end inspiratory lung volume and intrinsic PEEP, but it can cause higher peak airway pressures. Volume cycled assist control mode of ventilation is the most commonly used mode of ventilation. Volume targeted modes deliver a preset volume unless a specified circuit pressure limit is exceeded. Its major advantages are capacity to deliver unvarying tidal volumes, flexibility of flow and volume adjustments, and power to ventilate difficult patients. Disadvantages of this type of ventilation are: Unless the airway is well sealed volume cycled modes cannot ventilate effectively and consistently. After the flow rate and profile are set the inflation time of machine is set and remains unresponsive to patients native cycling rythm and flow demands. Ref: Respiratory Emergencies By Stephan Kamholtz, page 413. Critical Care Medicine: The Essentials By John J. Marini, page 134.